Which of the following protein is synthesized in free ribosome?
1. Cytosolic proteins
2. Secretery proteins
3. Membrane proteins
4. None

Correct answer: 1. Cytosolic proteins

Explanation: The synthesis of all proteins begins in thecytosol (the nonparticulate part of the cytoplasm) . However, proteins that will finish their synthesis on the RER have a sequence of amino acids called the signal sequence because this series of amino acids acts as a signal. Ref satyanarayana 4e